Dying deposition is recorded by :
1. Doctor
2. Magistrate
3. Police officer
4. Lawyer

Correct answer: 2. Magistrate

Explanation: B i.e. Magistrate